Which of the following is not associated EBV virus ?
1. IMN
2. Kapasi sarcoma
3. Oral hairy leukoplalkia
4. NHL

Correct answer: 2. Kapasi sarcoma

Explanation: Ans. is 'b' i.e., Kaposi sarcoma